Ligamentum teres of the liver is a remnant of?
1. Ductus venosus
2. Umbilical artery
3. Peritoneum
4. Left umbilical vein

Correct answer: 4. Left umbilical vein

Explanation: "Ligamentum teres of liver represents the obliterated left umbilical vein".Ligamentum teres (the obliterated umbilical vein) runs along the inferior edge of the falciform ligament from the umbilicus to the umbilical fissure.